Range of flight of Aedes
1. 1 km
2. Less than 100m
3. 400 m
4. 10kms

Correct answer: 2. Less than 100m

Explanation: Description: Range of flight: Anopheles 3-5 km Culex 11 km Aedes 100 m Park's Textbook of Preventive and Social Medicine, 25th Edition, Pg 831